1 becquerel is equal (Disinegration/sec) to:
1. 3.7x1010
2. 2.7x1010
3. 1.7x1010
4. 1

Correct answer: 4. 1

Explanation: D i.e. 1 Becquerel (Bq) or disintegration per second is the SI unit of radioactivity wherea Curie (Ci) is non-SI unit of radioactivity. The rate of radioactive decay of a sample is called radioactivity. SI unit of activity is the Bequerel (Bq), defined as one nuclear disintegration per secondQ. The Curie (Ci) is defined as 3.7x1010 disintegrations per second, thought to be the number of disintegrations found in 1 gin of radium.